Triad of Wernicke's encephalopathy has all except
1. Global confusion
2. Ataxia
3. Ophthalmoplegia
4. Visual hallucinations

Correct answer: 4. Visual hallucinations